Which of the following causes PSA is raised
1. BPH
2. Prostate Ca
3. Prostatitis
4. All of the above

Correct answer: 4. All of the above